Pearson's Skewness Coefficient is given BY
1. Mean-Mode /SD
2. Mode-Mean/SD
3. SD/Mean-Median
4. SD/Median-Mean

Correct answer: 1. Mean-Mode /SD

Explanation: SKEWNESS: * Is measure of asymmetry of a probability distribution of a random variable * Measures of skewness: - - Pearson's mode or First Skewness coefficient = (Mean - Mode) /SD - - Pearson's median or second Skewness coefficient = 3 (Mean - Median) /SD - - Quartile skewness = ( Q3-2Q2 + Q1)/Q3 - Q1